Term "Pseudo" used in "Pseudocyst" is due to its -
1. Cintents
2. Lining
3. Site
4. Course

Correct answer: 2. Lining